Feature of a NiTi ﬁle that a surface project axially from the central core to the cutting edge between the ﬂutes is known as:
1. Taper
2. Land
3. Pitch
4. Rake angle

Correct answer: 2. Land

Explanation: Land:
It is the area between the flutes which projects axially from central core to the cutting edge.
Rake angle:
It is the angle formed by leading-edge with the radius of file. Acute angle is considered as a negative rake angle and obtuse angle is  considered as a positive rake angle.
Taper:
It signifies per millimeter increase in file diameter from the tip towards handle of file.
Pitch:
It is the distance between two cutting edges. A file with short pitch has more flutes when compared to file with longer pitch.